Telecanthus is:
1. Narrow medial epicanthus
2. Widely separated medial orbital wall
3. Lateral epicanthal fold thickened
4. Increases in intercanthal distance with normal interpupillary distance

Correct answer: 4. Increases in intercanthal distance with normal interpupillary distance

Explanation: Increases in intercanthal distance with normal interpupillary distance